Suboccipital nerve is?
1. Cl ventral ramus
2. C2 ventral ramus
3. Cl dorsal ramus
4. C2 dorsal ramus

Correct answer: 3. Cl dorsal ramus

Explanation: Ans: C. C1 dorsal ramus(Ref: BDC 5th/e Vol. III p. 871).The suboccipital nerve is the dorsal primary ramus of the first cervical nerve (C1).It exits the spinal cord between the skull and the first cervical vertebra, the atlas.It lies within the suboccipital triangle along with the vertebral artery, where the artery enters the foramen magnum